Resting membrane potential depends mainly on
1. K
2. Na
3. Cl
4. HCO3

Correct answer: 1. K

Explanation: Since K+ permeability is greater than Na+ permeability, therefore, K+ channels maintain the RMP.(Ref: Textbook of physiology AK Jaun 5th edition Page no.35)